Intracranial Irradiation most commonly leads to deficiency of
1. TSH
2. ACTH
3. PROLACTIN
4. GROWTH HORMONE

Correct answer: 4. GROWTH HORMONE

Explanation: *Growth Hormone is most radiosensitive pituitary hormone and intracranial irradiation leads to hypopituitarism mainly due to hypothalamic damage rather than pituitary damage *Least radiosensitive pituitary hormone is TSH